Antibodies most specific for drug induced lupus are-
1. Anti ds DNA
2. Antism
3. ANA
4. Antihistone

Correct answer: 4. Antihistone